Which is the commonest childhood tumor –
1. ALL
2. CLL
3. AML
4. CML

Correct answer: 1. ALL